Which vitamin can be synthesized from tryptophan:
1. Niacin
2. Riboflavin
3. Cobalamin
4. Folic acid

Correct answer: 1. Niacin

Explanation: Ans. (a) NiacinRef: Harpers Biochemistry, 30th ed. pg. 557* Niacin is synthesized from tryptophan via kynurenine and quinolinic acids as key biosynthetic intermediates.* Refer to above explanation for more details.